Nodular lymphocyte predominant type of Hodgkin lymphoma contains:
1. Foam cell
2. Popcorn cell
3. Pale cell
4. None of the above

Correct answer: 2. Popcorn cell